The type of Epithelium associated with the Vermilion Zone of the Lips is
1. Stratified Squamous Non keratinized.
2. PseudoStratified Ciliated Columnar
3. Stratified Squamous Keratinized
4. Stratified Cuboidal

Correct answer: 3. Stratified Squamous Keratinized

Explanation: The External Aspect and Vermilion Zone of the Lips are covered by thin skin, which contains a Stratified Squamous Keratinized epithelium.